The commonest of death in ARDS is
1. Hypoxemia
2. Hypotension
3. Non-pulmonary organ failure
4. Respiratory failure

Correct answer: 3. Non-pulmonary organ failure

Explanation: Mortality estimates for ARDS range from 26 to 44%.Mortality in ARDS is largely attributable to nonpulmonary causes,with sepsis and nonpulmonary organ failure accounting for >80% of deaths.Increasing age,chronic liver disease,cirrhosis,chronic alcohol abuse,chronic immunosuppression,sepsis,chronic renal disease,any nonpulmonary Organ failure have been linked to increased ARDS mortality. Ref:Harrison's disease-18th edition,page no:2209/